Which of the following parameters is not monitored in a patient on methotrexate therapy?
1. Liver function tests
2. Lung function test
3. Eye examination
4. Hemogramz

Correct answer: 3. Eye examination

Explanation: Ans. (C) Eye examination(Ref: CMDT 2010, 1501)Methotrexate toxicities include:MyelosuppressionNephrotoxicityHepatotoxicityNeurotoxicity (with intrathecal administration and high-dose therapy)PhotosensitivityPulmonary toxicityMultiple drug interactions which may enhance toxicities (avoid aspirin, penicillins, NSAIDs, omeprazole, TMP-SMZ)